All of the following are features of hemolytic anemia Except:
1. Decreased RBC life span
2. Decreased Haptoglobin
3. Unconjugated hyperbilirubinemia
4. Bilirubin in urine

Correct answer: 4. Bilirubin in urine

Explanation: Answer is D (Bilirubin in urine) Presence of bilirubin in urine is not a feature of Hemolytic Anemias. Presence of bilirubin in urine indicates the presence of conjugated bilirubin in the plasma. Hemolytic anemias are associated with unconjugated hvperbiliruhinemia not conjugated hyperbilirubinemia.